Neurosurgery is indicated for all except
1. SDH
2. EDH
3. Depressed fracture
4. Diffuse axonal injury

Correct answer: 4. Diffuse axonal injury

Explanation: Ans. (d) Diffuse axonal injuryRef: Bailey 26th 317* EDH Requires immediate transfer for evacuation in deteriorating or comatose patients or those with large bleeds* SDH of significant size with midline shift require evacuation* Depressed fracture usually requires exploration debridement and elevation of fragment.